Which of the following anti-tubercular drug is least hepatotoxic?
1. Rifampicin
2. Pyrazinamide
3. Ethambutol
4. INH

Correct answer: 3. Ethambutol

Explanation: Ethambutol among the given options is the least hepatotoxic antitubercular drug. Ethambutol side-effect includes Dose dependent adverse effect Red green colour blindness (optic neuritis) which is initially reversible but later becomes irreversible. Therefore it is avoided in children < 6yr.